Life spon of a housefly ?
1. 1-2 days
2. 5-10 days
3. 10-15 days
4. 15-20 days

Correct answer: 4. 15-20 days

Explanation: Ans. is 'd' i.e., 15-20 days Houseflies 'Houseflies should be regarded as a sign of insanitation' and their number as index of that sanitation. Important species : Musca domestica, M. vicinia, M. nebula, M. sorbens Life span : 15-25 days Eggs : 8-24 hours Larvae (maggots) : 2-7 days Pupae : 3-6 days Adults : 5-20 days Important breeding places (In order of importance). Fresh horse manure Human excreta Manure of other animals Garbage Decaying fruits and vegetables Rubbish dumps containing organic matter Grounds where liquid wastes are spilled Feeding habits : Housefly does not bite : It cannot eat solid foods; it vomits on ssolid foods to make a solution of it, and sucks in a liquid state. Modus of disease transmission: Mechanical transmission: Houseflies are known as 'Porters of infection' Vomit-drop Defecation Houseflies in disease causation: As vector of diseases : Typhoid and paratyphoid fevers, diarrhoeas and dysenteries, cholera and gastroenteritis, amoebiasis, helminthic manifestations, Poliomyelitis, Yaws, Anthrax, Trachoma, conjunctivitis. As causative agent of disease : Myiasis.